Which muscle will be paralyzed when the radial nerve is injured in just below the spiral groove?
1. Lateral head of triceps
2. Medial head of triceps
3. Long head bf triceps
4. Extensor carpi radialis longus

Correct answer: 4. Extensor carpi radialis longus

Explanation: -The radial nerve supplies Extensor carpi radialis longus below the spiral groove while the branches to long, medial and lateral heads of triceps are given off in the arm before the nerve descends into the spiral groove. Reference: Clinical Anatomy for students, a problem-solving approach, Neeta v Kulkarni, 2nd edition, page no.179